Forceps delivery is indicated in all of the following conditions, except
1. Face presentation
2. Occipitoposterior
3. After warming head in breech
4. Brow presentation

Correct answer: 4. Brow presentation

Explanation: In brow presentation, the engaging diameter of head is mentovertical (14cm) . In this case vaginal delivery is impossible and elective caesarean section is usually performed.